Grevious injury includes all the following except :
1. Emasculation
2. Permanent privation of hearing
3. Privation of any member/joint
4. Disability to follow one's ordinary pursuits for a period of a week

Correct answer: 4. Disability to follow one's ordinary pursuits for a period of a week

Explanation: D i.e. Disability to follow one's ordinary pursuits for a period of a week.